Species identification is done by
1. Neutron activation analysis (N.A.A.)
2. Precipitin test
3. Benzidine test
4. Spectroscopy

Correct answer: 2. Precipitin test

Explanation: B i.e. Precipitin test